A lesion of ventrolateral part of spinal cord will lead to loss of which of the following sensation below the level of lesion?
1. Propriception on the ipsilateral side
2. Pain sensation on the ipsilateral side
3. Proprioception on the contralateral side
4. Pain sensation on the contralateral side

Correct answer: 4. Pain sensation on the contralateral side

Explanation: Spinothalamic tract lies in the ventrolateral part of the spinal cord, and it carries the sensations of pain and temperature. Fibers of spinothalamic tract crosses more or less at the point of entry itself and remains contralateral along the whole length of spinal cord. As a result, lesion of ventrolateral part of spinal cord will lead to contralateral loss of pain and temperature below the level of lesion. Ref: Tintinalli's Emergency Medicine: A Comprehensive Study Guide, 7th Edition, Chapter 255.